Which of the following is false about hemoptysis
1. Massive hemoptysis is bleeding >200-600 cc in 24 hours
2. In 90% cases, bleeding from brochial arteries
3. CT chest is the first investigation done
4. In an unstable, rigid bronchoscopy is done to identify the lesion.

Correct answer: 3. CT chest is the first investigation done

Explanation: Massive hemoptysis is variably defined as hemoptysis of greater than 200-600 cc in 24 hrs.The most common site of hemoptysis is bleeding from bronchial arteries of small-to medium-sized airways.The first investigation of choice is a standard chest radiograph.If a source of bleeding is not identified on plain film,a CT of the chest should be obtained.In unstable patients,rigid bronchoscopy can be done to visualise the endobronchial lesions. Reference:Harrison's medicine-18th edition,page no:285.